Japanese encephalitis is transmitted by -
1. Culex
2. Aedes
3. Anopheles
4. Hard tick

Correct answer: 1. Culex

Explanation: Japanese encephalitis is a mosquito-borne encephalitis caused by a group B arbovirus (Flavivirus) and transmitted by culicine mosquitoes . Ref: PARK'S TEXTBOOK OF PREVENTIVE AND SOCIAL MEDICINE 23rd edition pg 284